HIV infection is known to be transmitted during
all of the following EXCEPT
1. breast feeding
2. child birth
3. heterosexual intercourse
4. kissing

Correct answer: 4. kissing